Which muscle of larynx is supplied by external laryngeal nerve?
1. Cricothyroid
2. Lateral Cricoarytenoid
3. Thyroarytenoid
4. Posterior cricoarytenoid

Correct answer: 1. Cricothyroid

Explanation: Ans. A CricothyroidRef: BDC, Vol: 3 pg. 242, 244* All intrinsic muslces of the larynx are supplied by the recurrent laryngeal nerve except cricothyroid which is supplied by external laryngeal nerve.* Recurrent laryngeal nerve supplies posterior cricoarytenoid, lateral cricoarytenoid, transverse and oblique arytenoids, aryepiglotticus, thyroarytenoid, thyroepiglotti- cus muscle.Extra MileMUST KNOW about laryngeal muscles movementsMovementMusclesAbduction of vocal cordsPosterior cricoarytenoids onlyAdduction of the vocal cordsLateral cricoarytenoids and transverse arytenoids, thyroarytenoidTensor of vocal cordsCricothyroidRelaxor of vocal cordThyroarytenoidElevation of larynxThyrohyoid, mylohyoidDepression of larynxSternothyroid, sternohyoid